A 45 year old man is on a fat free carbohydrate rich diet for a certain time and he still continues to grow obese. Which of the following lipoproteins is likely to be elevated in his blood?
1. Chylomicrons
2. VLDL
3. LDL
4. HDL

Correct answer: 2. VLDL

Explanation: Low fat, high carbohydrate diets can reduce HDL cholesterol and increase triglycerides. Especially in obese persons, increased total caloric intake may induce overproduction of VLDL triglycerides while reducing HDL cholesterol levels. Ref: Harper 26th Edition, Pages 211-212 ; Primary Care Medicine: Office Evaluation and Management of the Adult Patient By Allan H. Goroll, Albert G. Mulley, 2009, Page 210